A child presented with severe pain with twisted cord. The treatment is
1. Elevation of the testes relieve the pain
2. Rest and antibiotics
3. Scrotal hypothermia
4. Surgical treatment

Correct answer: 4. Surgical treatment

Explanation: i.e. (Surgical treatment): (1379-80-Love & Bailey 25th)Prompt exploration, untwisting and fixation is the only way to save the torted testisThe patient should be counselled and consented for orchidectomy before explorationThe anatomical abnormality is bilateral and the contralateral testis should also be fixedEpididymitis - sudden pain in the scrotum, rapid unilateral scrotal enlargement, and marked tenderness that extends to the spermatic cord in the groin and may be relieved by scrotal elevation (Prehn's sign) (927- CSDT13th) some patients pain is relieved by scrotal hypothermiaTorsion of the testicular appendices (Vestigial mullerian duct structure) - gradual onset, point tenderness rathan than diffuse tenderness, visible necrotic lesion on scrotal transillumination (blue dot sign)Treatment - Self limiting since necrosis and auto amputation usually occurs, warm baths, limited activity and anti inflammatory agents